What is the content of an epiplocele ?
1. Omentum
2. Intestine
3. Colon
4. Urinary bladder

Correct answer: 1. Omentum

Explanation: CONTENTS OF HERNIA: These can be: *Omentum = omentocele (synonym: epiplocele) *Intestine = enterocele; more commonly small bowel but may be large intestine or appendix *A portion of the circumference of the intestine = Richter's hernia *A portion of the bladder (or a diverticulum) may constitute part of or be the sole content of a direct inguinal, a sliding inguinal or a femoral hernia *Ovary with or without the corresponding fallopian tube *A Meckel's diverticulum = a Littre's hernia *Fluid, as part of ascites or as a residum thereof.